Ganglion of tendons is an example of:
1. Neural neoplasm
2. Malformation
3. Amyloid deposition
4. Mucoid degeneration

Correct answer: 4. Mucoid degeneration

Explanation: Ans. d (Mucoid degeneration). (Ref. Robbins, Basic Pathology 8th/pg. 832).Ganglion and Synovial Cysts:A ganglion is a small (<1.5 cm) cyst located near a joint capsule or tendon sheath; the wrist is an especially common site. Lesions manifest as firm to fluctuant pea-sized nodules. These are grossly translucent and microscopically lack a true cell lining, because they arise by cystic degeneration of connective tissue. Lesions can be multilocular through coalescence of adjacent areas of myxoid change. The cyst fluid is similar to synovial fluid, although there is no communication with the joint space. Ganglions are usually completely asymptomatic. Classically, these can be treated by "Bible therapy"; whacking them with a large tome is usually sufficient to rupture the cyst, and re- accumulation is uncommon. Herniation of synovium through a joint capsule or massive enlargement of a bursa can produce a synovial cyst. A good example is the Baker cyst that occurs in the popliteal fossa.GANGLION CYST (WRIST CYST, BIBLE CYST, OR DORSAL TENDON CYST)# It may also be referred to as a mucous cyst, a mucinous cyst or a synovial cyst.# These are the most common swellings in the hand.# The swelling is smooth, well defined, fluctuant and transilluminable.# It is usually attached to a tendon sheath (lining which lubricates the tendon) in the hand or wrist;# Whether this is due to injury, a myxomatous degenerative process, or a subtle abnormality is debatable. Histology shows a compressed collagen sheath filled with a mucoid substance.# Rx:- A few resolve with aspiration or compression ('hitting with the family bible').- Surgery should be meticulous otherwise recurrence is likely.- Ganglia around the wrist should be traced down to their source, usually the scapholunate ligament and sometimes the scapho-trapezio-trapezioid joint.Educational Points:# Acute paronychia is the most common infection of the hand.# Superficial spreading melanomas are the most common (64 per cent) melanoma.# Nodular melanoma is the most malignant melanoma.